Lactose content of breast milk per 100 ml is –
1. 3.5 gm
2. 4.5 gm
3. 6 gm
4. 7 gm

Correct answer: 4. 7 gm